Movement of substances prevented across intercellular space by-
1. Zona adherens
2. Tight junction
3. Gap junction
4. Desmosomes

Correct answer: 2. Tight junction

Explanation: Ans. is 'b' i.e., Tight junction